Commonest type of shoulder dislocation:
1. Subcoracoid
2. Subglenoid
3. Posterior
4. Subclavicular

Correct answer: 1. Subcoracoid

Explanation: Anterior Dislocation of Shoulder--Most Common Type of Shoulder Dislocation Types: Subcoracoid>Preglenoid>Subclavicular Mechanism of Injury: Abduction and External rotation force.